Inulin clearance is equal to
1. 55 ml/min
2. 625 ml/min
3. 125 ml/min
4. 40 ml/min

Correct answer: 3. 125 ml/min

Explanation: Inulin clearance is equal to about 125ml/min, which is the GFR.